The femoral ring is bounded by the following structures except
1. Femoral vein
2. Inguinal ligament
3. Femoral artery
4. Lacunar ligament

Correct answer: 3. Femoral artery

Explanation: FEMORAL CANAL:- Medial compartment of the femoral sheath.Conical shape, wide above and narrow below.Contents:1. Lymph node of cloquet / Rosenmuller. The lymph node drains glans penis in males and clitoris in females.2. Lymphatics 3. Areolar tissue.The base or upper end of femoral canal is called femoral ring.FEMORAL RING:-Boundaries:- Ant: inguinal ligament. Post: pectineus and it's covering fascia. Medially: concave margin of lacunar ligament. Laterally: septum separating it from femoral vein. Inferior epigastric vessels closely related to the ring.The ring is closed by condensation of extraperitoneal connective tissue called femoral septum. {Reference: BDC 9E}